Factors which help in the descent of the presenting part during labor are all except
1. Uterine contraction and retraction
2. Straightening of the fetal axis
3. Bearing down efforts
4. Resistance from the pelvic floor

Correct answer: 4. Resistance from the pelvic floor

Explanation: Factors which help in the descent The direct pressure of funds on breech during contractions The hydrostatic pressure of the amniotic fluid Extension and straightening of fetal body Abdominal muscle contractions during bearing down (refer pgno:104 Sheila textbook of obstetrics 2 nd edition)